Paramyxovirus includes -
1. Retrovirus
2. Poliovirus
3. Parainfluenza
4. Rabies

Correct answer: 3. Parainfluenza

Explanation: Paramyxoviridae consists of new castle disease virus, mumps virus, parainfluenza virus, mumps virus, and respiratory syncytial viruses. REF:ANATHANARAYAN AND PANIKER'S TEXTBOOK OF MICROBIOLOGY 9TH EDITION PAGE NO:496